Clinical findings suggestive of adequacy of pelvis for vaginal delivery are all except-
1. Diagonal conjugate > 11[?]5 cm
2. Interspinous diameter > 8 cm
3. Sacrosciatic notch 2[?]5-3 finger breadths
4. Bituberous diameter > 8 cm

Correct answer: 2. Interspinous diameter > 8 cm

Explanation: Ans. is 'b' i.e., Interspinous diameter > 8 cm [Ref: style="font-size: 1.04761904761905em; font-family: Times New Roman, Times, serif; margin: 0 0 8pt 8px; text-indent: 0; text-align: left">o Clinical findings suggestive of adequacy of pelvis for vagina! delivery- are:Findings indicating adequate pelvis : -DataFindingo Forepelvis (pelvic brim)Roundo Diagonal conjugate> 11[?]5 cmo SymphysisAverage thickness, parallel to sacrumo SacrumHollow, average inclinationo Side wallsStraighto Ischial spinesBlunto Interspinous diameter>10[?]0 cmo Sacrosciatic notch2[?]5-3 finger - breathso Sacrosciatic notch2 finger - breadthso Bituberous diameter4 knuckles (> 8[?]0 cm)o CoccyxMobileo Anterposterior diameter of outlet>11[?]0 cm